Nanotechnology has found tremendous application in the diagnosis of cancers because of all of following advantages, except
1. Nanocrystals exibit bright, photostable fluorescence
2. Nonocrystals have a narrow spectrum wavelength
3. Peak spectrum wavelength is tunable
4. Nanocrystals exhibit a narrow difference between their excitation and emission peak spectra

Correct answer: 4. Nanocrystals exhibit a narrow difference between their excitation and emission peak spectra

Explanation: Ans'd. Nanocrystals exhibit a narrow difference between their excitation and emission peak spectra